The spaces involved in ludwigs angina are
1. Sublingual
2. Submandibular
3. Submaxillary
4. All of the above

Correct answer: 4. All of the above

Explanation: LUDWIG'S ANGINA APPLIED ANATOMY :- Submandibular space lies between mucous membrane of the floor of mouth and tongue on one side and superficial layer of deep cervical fascia extending between the hyoid bone and mandible on the other. It is divided into two compartments by the mylohyoid muscle: 1. Sublingual compartment (above the mylohyoid). 2. Submaxillary and submental compartment (below the mylohyoid). The two compartments are continuous around the posterior border of mylohyoid muscle. Ludwig's angina is infection of submandibular space. Ref:- Dhingra; pg num:-263,264